Rhinophyma is associated with-
1. Hypertrophy of the sebaceous glands
2. Hypertrophy of sweat glands
3. Hyperplasia of endothelial cells
4. Hyperplasia of epithelial cells

Correct answer: 1. Hypertrophy of the sebaceous glands

Explanation: Rhinophyma is a slow-growing benign tumor due to hypertrophy of sebaceous gland.